Most common cause of pseudopancreatic cyst in children is
1. Chloledochal cyst
2. Annular pancreas
3. Drug induced pancreatitis
4. Traumatic pancreatitis

Correct answer: 4. Traumatic pancreatitis

Explanation: Pancreatic pseudocyst follows acute attack of pancreatitis and trauma is the most common cause of acute pancreatitis in children. Most common causes of acute pancreatitis in children include: Blunt abdominal injuries, Mumps and other viral illnesses Congenital anomolies Ref : Nelson 16/e, p 1300